Fibroma belongs to ?
1. Germ cell tumor
2. Sex cord stromal tumor
3. Surface epithelial stromal tumors
4. Metastatic tumors from non ovarian primary

Correct answer: 2. Sex cord stromal tumor

Explanation: Ans. is 'b' i.e., Sex cord stromal tumor